Post irradiation thyroid tumor is:
1. Follicular CA
2. Papillary CA
3. Lymphoma
4. Hurthle cell tumor

Correct answer: 2. Papillary CA

Explanation: B i.e. Papillary CA Radiation is an etiological agent for papillary carcinoma thyroid & external radiation is used in treatment of anaplastic cancer thyroid.Q